Radiological signs of crohn's disease –
1. String sign of Kantor
2. Pipestem appearance
3. Pseudopolyp
4. Backwash ileitis

Correct answer: 1. String sign of Kantor

Explanation: String sign of Kantor is seen in Crohn's disease.
Other three options (Pipestem appearance, pseudopolyp, Backwash ileitis) are features of UC.